Defective DNA repair is a/w
1. Albinism
2. Xeroderma pigmentosa
3. Vitiligo
4. Icthyosis

Correct answer: 2. Xeroderma pigmentosa

Explanation: B i.e. Xeroderma pigmentosa